Ribosome has following enzymatic activity
1. Peptidyl transferase
2. Peptidase
3. Aminoacyl tRNA synthetase
4. GTPase

Correct answer: 1. Peptidyl transferase

Explanation: The Peptidyl transferase is an aminoacyltransferase as well as the primary enzymatic function of the ribosome, which forms peptide bonds between adjacent amino acids using tRNAs during the translation process of protein biosynthesis.In Prokaryotes, the 50S (23Scomponent) ribosome subunit contains the peptidyl transferase component and acts as a ribozyme.In Eukaryotes, the 60S (28Scomponent) ribosome subunit contains the peptidyl transferase component and acts as the ribozyme.